Pataus syndrome due to -
1. Trisomy 21
2. Trisomy 18
3. 18 P
4. Trisomy 13

Correct answer: 4. Trisomy 13

Explanation: Ans. is 'd' i.e., Trisomy 13 Trisomv 13 (Patau's syndrome)Head & FaceChestExtremitieso Scalp defects (cutis aplasia )o Congenital heart diseaseo Overlapping of finger &o Microphthalmia, comeal(VSD, PDA, ASD in 80%)toes (Clinodactyly, polydactyly)abnormalitieso Thin posterior ribs (missingo Hypoplastic & hyperconvexo Cleft lip & palate (60-80%)ribs)nailso Microcephaly o Sloping head o Hoioprosencephaly o Capiiary hemangioma o Deafness o Severe developmenal delays & prenatal, postnatal growth retardation & renal abnormalities is seen in trisomy 13.o Only 5% patients of trisomy 13 live more than 6 months.